Which is not a function of intercalated duct:
1. Carries saliva from the secretory unit to striated duct.
2. They also synthesize saliva.
3. They modify saliva.
4. None.

Correct answer: 3. They modify saliva.